Chloroquine related eye disease risk is high in all except -
1. Total cumulative dose > 460 g
2. Daily dose > 3 mg/kg or > 250 mg /day
3. In patients with kidney dysfunction
4. Intake for > 2 years

Correct answer: 4. Intake for > 2 years

Explanation: Ans. is 'd' i.e., Intake for > 2 years Chloroquine is used to treat malaria and certain connective tissue disorders.Chloroquine has serious irreversible toxic effects on the retina resulting inDecreased visual acuityBlurred visionDiplopiaImpaired colour visonDecreased night visionVisual filed defectsThe chloroquine maculopathy begins insidiously and its features include: - - Fine mottling of the maculaArteriolar narrowingPeripheral retinal pigmentationLoss of the foveal reflexIn advances cases * Depigmented macula is surrounded by pigmented ring maculopathy - Bull's eye.Chloroquine retinopathy is dose related and usually only develops after cumulative dose of3002,Oral dose of250 mg/day for 3 years significantly increases the risk of maculopathyRisk factors for chloroquine maculopathyDaily dose > 3 mg/kg/day or 250 mg/dayCumulative dose > 460 gmsDuration of treatment > 5 yearsEvidence of renal and hepatic insufficiency